consider the following: 1. Reactive NST 2. Absence of deceleration 3. Sinusoidal pattern Which of the above findings in an antepartum CTG indicate fetal well-being:
1. 1 and 2 only
2. 2 and 3 Only
3. 1 and 3 only
4. 1.2,3

Correct answer: 1. 1 and 2 only

Explanation: A reactive NST is defined as the presence of two or more fetal heart rate acceleration during a 20 min period,with acceleration of 15 beats or more and lasting 15 or more second.No late deceleration or significant variable deceleration also indicates good cardiac activity. refer pgno:510 sheila textbook of obstetrics 2 nd edition